Heller myotomy is done for:
1. Pyloric stenosis
2. Hirschsprung
3. Achalasia
4. DES

Correct answer: 3. Achalasia

Explanation: Ans. (c) AchalasiaRef Bailey 26th edition 1010* Modified Heller cardiomyotomy: Achalasia cardia* Ramstaed's pyloromyotomy: Pyloric stenosis (Congenital)* Duhamel operation: Hirschsprung disease